To avoid conception, DMPA is given
1. Monthly
2. Yearly
3. 6 Monthly
4. 3 Monthly

Correct answer: 4. 3 Monthly